A 5 year old child suffering from nephrotic syndrome is responding well to steroid therapy. What would be the most likely finding on light microscopy:
1. No finding
2. Basement membrabne thickening
3. Hypercellular glomeruli
4. Fusion of foot processes

Correct answer: 1. No finding

Explanation: Light microscopy in minimal change disease shows no significant abnormality. Electron microscopy shows obliteration of epithelial cell footprocess. Immunofluorescence shows absence of immunoglobulin or complement deposition. Ref: Kliegman, Behrman, Jenson, Stanton (2008), Chapter 537, "Nephrotic syndrome", In the book, "NELSON TEXTBOOK OF PEDIATRICS", Volume 2, 18th Edition, New Delhi, Pages 2192-93 ; O P Ghai Essential Pediatrics, 6th Edition, Page 451